Schizophrenia first rank symptom includes
1. Third person auditory hallucinations
2. Delusional misconception
3. Nihalistic delusion
4. Delusion of self reference

Correct answer: 1. Third person auditory hallucinations

Explanation: (A) Third person auditory hallucinations # First Rank Symptoms (SFRS) of Schizophrenia include:> Hallucinations:> Audible thoughts: Voices speaking out thoughts aloud or 'thought echo'> Voices heard arguing: Two or more hallucinatory voices discussing the subject in third person> Voices commencing on one's action# Thought Alienation Phenomena Thought withdrawal: Thoughts cease and subject experiences them as removed by external force Thought insertion: Subject experiences thoughts imposed by some external force on his passive mind. Thought diffusion or broadcasting: Subject experiences that his thoughts are escaping the confines of his self and are being experienced by others around.# Passivity Phenomena 'Made' feelings or affect 'Made' impulses 'Made' volition or acts. In 'made' effects, impulses and volitions, the subject experiences feelings, impulses or acts, which are imposed by some external force. In 'made' volition, one's own acts are experienced as being under the control of some external force, the subject being like a robot. Somatic passivity: Bodily sensations, especially sensory symptoms imposed on body by some external force.# Delusional Perception> Delusional perception: Normal perception has a private and illogical meaning.